Contraindication for laryngeal mask airway is
1. Empty stomach
2. Hiatus hernia
3. Minor surgery
4. Young age

Correct answer: 2. Hiatus hernia

Explanation: LMA INDICATIONS : .Short procedures where endotracheal tube is not necessary,Difficult airway , Cardiac arrest ,conduit for intubation, Contraindications Absolute :Complete Upper airway obstruction,Locked jaw relative : increased risk of aspiration like in full stomach, 2nd n 3rd trimester of pregnancy ,morbid obesity,Upper GI bleed, Hiatus hernia, Suspected or known Supraglottic anatomical abnormalities